Shine-Dalgarno sequence in bacterial mRNA is near
1. AUG codon
2. UAA codon
3. UAG codon
4. UGA codon

Correct answer: 1. AUG codon

Explanation: SD sequence is located-6 to -10 bp from initiating AUG codon on m-RNA molecule near its 5' end. It is seen in prokaryotes only.
Kozak consenses sequence is present in eukaryotes. This sequence surrounds AUG & determines the initiating codon of m-RNA.